The appearance of anastamotic leakage following a low colonic anastomosis most often mainfests -
1. 1-4 days
2. 5-10 days
3. 11-15 days
4. 16-20 days

Correct answer: 2. 5-10 days